The strongest attachment of the vitreous body to the surrounding structures is at the level of:
1. Vitreous base
2. Optic disc
3. Posterior surface of the lens
4. Foveal region

Correct answer: 1. Vitreous base

Explanation: Ans. Vitreous base